Which of the following is an acid-fast bacillus
1. Mycobacterium bacilli
2. Treponema pallidum
3. Neisseria gonorrhea
4. All of the above

Correct answer: 1. Mycobacterium bacilli